Which of the following drug can cause grey baby syndrome
1. Tetracycline
2. Chloramphenicol
3. Vancomycin
4. Clindamycin

Correct answer: 2. Chloramphenicol

Explanation: Ref: KDT, 6th ed. pg. 717Antimicrobial drugsSide effectsChloramphenicolGrey baby syndrome Bone marrow suppressionTetracyclineTeeth discoloration and bone growth suppressionPhototoxicityFanconi syndrome (in case of expired tetracycline)Vestibular dysfunctionVancomycinRed man/Red neck syndrome Nephrotoxic and ototoxicClindamycinPseudomembranous colitisVANCOMYCIN: drug of choice for MRSA Vancomycin NEVER effective against Pseudomonasb LACTAMS never effective against MRSA.AMINOGLYCOSIDE never effective against Anaerobes.Most common cause of pseudo membranous colitis: 3rd Gen. cephalosporin.DOC for pseudo membranous colitis: VANCOMYCIN (Oral).Preferred agent in mild case of pseudomembranous colitis- Metronidazole